Vitamin synthesized from tryptophan -
1. Thiamine (Vitamin B1)
2. Riboflavin (Vitamin B2)
3. Niacin (Vitamin B3)
4. Pyridoxin (Vitamin B6)

Correct answer: 3. Niacin (Vitamin B3)

Explanation: Ans. is 'c' i.e., Niacin (Vitamin B3) o Tryptophan is oxidized to kynurenine, which is then converted to either niacin (nicotinic acid) or acetyl-CoA. In the reaction alanine is also produced.o Deficiency of tryptophan can cause deficiency of niacin (if also deficient in diet). This can leads to Pallegra: dermatitis, diarrhea and dementia.o For every 60 mg of tryptophan, 1 mg. equivalent of niacin can be generated.